First immunoglobin to appear following infection:
1. IgG
2. IgM
3. IgA
4. IgE

Correct answer: 2. IgM

Explanation: IgM